Extra retinal fibrovascular proliferation at ridge between normal and avascular retina is which grade of ROP?
1. ROP 1
2. ROP 2
3. ROP 3
4. ROP 4

Correct answer: 3. ROP 3

Explanation: ROP 3 REF: khurana 4th ed p. 265 Stages of ROP STAGE 1: Demarcation line STAGE 2: Demarcation ridge STAGE 3: Extra retinal proliferation and neovascularization STAGE 4: sub-retinal detachment including macula STAGE 5: Total retinal detachment